Which of the following statement is false about hydrocele?
1. Arises due to patent processus vaginalis
2. Wait for 5 years for spontaneous closure of congenital hydrocele
3. Lord's plication of sac for small hydrocele
4. Jaboulay's eversion of sac for medium hydrocele

Correct answer: 2. Wait for 5 years for spontaneous closure of congenital hydrocele

Explanation: Treatment of Hydrocele Congenital Hydrocele: Usually spontaneous obliteration by 2 years age. If persists then Herniotomy. Treatment of Vaginal Hydrocele 1. Small hydrocele: Lord's procedure (Plication of sac)Q 2. Medium hydrocele: Jaboulay's procedure (Eversion of sac)Q 3. Large hydrocele: Excision of sacQ